In acute myeloid leukemia, Auer rods are numerous in:
1. M2
2. M3
3. M4
4. M5

Correct answer: 2. M3

Explanation: Ans. B: M3 The diagnosis of AML is based on the presence of at least 20% myeloid blasts in the bone marrow. Myeloblast have delicate nuclear chromatin, two to four nucleoli, and more voluminous cytoplasm than lymphoblasts. The cytoplasm often contains fine, peroxidase-positive azurophilic granules. Auer rods, distinctive needle like azurophilic granules, are present in many cases; they are particularly numerous in AML with the t(15;17) (acute promyelocytic leukaemia-M3).